Zone of Weil contains all except
1. Capillaries
2. Unmyelinated N. fibers
3. Fibroblasts
4. Cytoplasmic process of fibroblast

Correct answer: 3. Fibroblasts